The commonest cause of primary hyperparathyroidism is -
1. Carcinoma parathyroid
2. Solitary adenoma of parathyroid
3. Chronic renal failure
4. Hyperplasia of the parathyroid

Correct answer: 2. Solitary adenoma of parathyroid